Normal intra abdominal pressure is?
1. 5 mm Hg
2. 10 mm Hg
3. 15 mm Hg
4. 20 mm Hg

Correct answer: 1. 5 mm Hg

Explanation: ANSWER: (A) 5 mm HgREF: Sabiston 18tn ed chapter 15, Schwartz 9th ed Table 7-12Normal intra-abdominal pressure is around 5 mm Hg (range, 0.2-16.2 mm Hg). With an increase in intra-abdominal pressure, deleterious effects are observed in the intra- and extra-abdominal organs and the abdominal wallAbdominal Compartment Syndrome Grading System Bladder pressureGrademm Hgcm H20I10-1513-20II16-2521-35III26-3536-47IV>35>48